Which is not a part of HACEK ?
1. Hemophilus Aphrophilus
2. Acinetobacter Boumani
3. Cardiobacterium Hominis
4. Kingella Kingae

Correct answer: 2. Acinetobacter Boumani

Explanation: Acinetobacter Boumani The acromym HACEK refers to a group of fastidious slow growing bacteria normally resident in the mouth which can sometimes cause severe infections particularly endocarditis. The group inludes:- H aemophilus species (parainfluenzal, aprophilus, paraphrophilus) A ctinobacillus actinomycetemcomitans C ardiobacterium hominis E ikenella corrodens and K ingella kingae Also k low Blood cultures from HACEK patients take 7 to 30 days to become positive Antibiotic sensitivity tests are essential for effective therapy as drug resistance is very common.